Drug of choice for treatment of acute asthmatic attacks is :
1. Leukotriene antagonists
2. Lipoxygenase inhibitors
3. Beta 2 agonists
4. Anticholinergics

Correct answer: 3. Beta 2 agonists